False regarding Health For All by 2000 A.D is -
1. All people will be healthy by 2000 A.D
2. All people are accessible to health care services
3. All will have socially and economically productive life
4. Equal health status for people and countries

Correct answer: 1. All people will be healthy by 2000 A.D

Explanation: Foremost among the goals to be achieved by 2000 AD were Reduction of infant mortality from the level of 125 to below 60 To raise the expectation of life at birth from the level of 52 years to 64 To reduce the crude death rate from the level of 14 per 1000 population to 9 per 1000 To reduce crude birth rate from the level of 33 per 1000 population to 21 To achieve a net reproduction rate of 1 To provide portable water to entire rural population (refer pgno:893 park 23rd edition)